Sargramostim is a
1. GM - CSF
2. G - CSF
3. IL - 11 analogue
4. Erythropoietin analogue

Correct answer: 1. GM - CSF

Explanation: Sargramostim: GM - CSF analogue.
Filagastrim: G - CSF analogue.